A region is divided into 50 villages for the purpose of a survey. 10 villages are then selected randomly for the purpose of a study. This type of sampling is termed as-
1. Simple random sampling
2. Stratified sampling
3. Cluster sampling
4. Systematic sampling

Correct answer: 3. Cluster sampling